Composition of ZN stain are all EXCEPT?
1. Basic fuschin
2. Acid fuschin
3. Phenol
4. Alcohol

Correct answer: 2. Acid fuschin

Explanation: Ans. is 'b' i.e., Acid fuschin Reagents required in Ziehl-Neelsen (ZN) stainingCarbol fuchsin - Strong Carbol fuchsin is basic fuchsin dissolved in phenol (Carbolic acid).Acid alcohol (or sulfuric acid).Methylene blue (or malachite green).